Molecular change in Lysosomal storage disorder is:
1. Defective fusion of lysosomes and phagosomes
2. Increased synthesis of some substrates
3. Mutation of genes encoding lysosomal hydrolases
4. Membrane defect of lysosomes

Correct answer: 3. Mutation of genes encoding lysosomal hydrolases

Explanation: C i.e. Mutation of genes encoding lysosomal hydrolasesLysosomal storage diseases (LSD) are caused by mutations in genes encoding lysosomal hydrolasesQ responsible for breaking down of macromolecules, which results in accumulation of corresponsing substrate (macromolecule). ISDs are classified on the basis of accumulated substrate into sphingolipidosis, mucolipidosis, mucopolysaccharidoses, glycoproteinoses etc.